Marker for granulosa cell tumor;
1. CA 19-9
2. CA 50
3. Inhibin
4. Teratoma

Correct answer: 3. Inhibin

Explanation: - inhibin B is a peptide growth factor secreted by granulosa cells. - it is a measure of diminished ovarian reserve. - inhibin B is elevated in granulosa cell tumors. Reference : textbook of gynaecology Sheila balakrishnan, 2nd edition, pg no: 135